Which of the following is not a part of Epithalamus:
1. Pineal body
2. Posterior commissure
3. Trigonum habaenulae
4. Geniculate bodies

Correct answer: 4. Geniculate bodies

Explanation: Geniculate bodies